Pinguecula is best characterized histologically by
1. Fatty degeneration
2. Hyaline degeneration
3. Elastotic degeneration
4. Fibrinoid degeneration

Correct answer: 3. Elastotic degeneration

Explanation: Ans. (c) Elastotic degenerationRef: Kanski 8/e, p. 162, Yanoff 3/e, p. 248Pinguecula is best characterized histologically by Elastotic degeneration.